NOT a feature of Turner's syndrome
1. Short stature
2. Normal IQ
3. Cubitus varus
4. Streak ovaries

Correct answer: 3. Cubitus varus

Explanation: Cubitus valgus is seen in Turner's syndrome.